All of the following is complications of mumps expect ?
1. Meningoencephalitis
2. Myocarditis
3. Pancreatitis
4. Myositis

Correct answer: 4. Myositis